Following is NOT caused by virus:
1. Rocky mountain spotted fever
2. KFD
3. Dengue
4. Yellow fever

Correct answer: 1. Rocky mountain spotted fever

Explanation: Ans. (a) Rocky mountain spotted feverRef : K. Park 23rd ed. / 299-300Diseases, their causative agents and vectorsDiseaseCausative agentVectorRMSF (Rocky Mountain Spotted Fever)R. RickettsiiTickKyasanur forest disease (KFD) aka monkey diseaseGroup B togavirus (Flavivirus)Hard tick (in India);Soft tick (outside India)DengueArbovirus 4 serotypes (Den-1,2,3,4)Aedes AegyptiYellow feverFlavivirus fibricusAedes Aegypti